Efficacy of Moist Heat Sterilization is tested by using the Spores of
1. Bacillus stearothermophilus
2. Clostridium tetani
3. Bacillus subtilis
4. Clostridium botulinum

Correct answer: 1. Bacillus stearothermophilus

Explanation: (A) Bacillus stearothermophilus > For determining the efficacy of moist heat sterilization, (e.g. autoclaving), spores of Bacillus stearothermophilus are used as the test organism. This a thermophilic organism with an optimum growth temp. 55-60degC. Its spores are killed at 121 degC after 12 min exposure.